An isograft is the transfer of tissues in between
1. Same individual
2. Monozygotic twins
3. Unrelated donors
4. None of the above

Correct answer: 2. Monozygotic twins

Explanation: Autograft - Tissue transplanted from one site to another on the same patient Isograft - Transplant from a genetically identical donor, such as an identical twin Homograft (Allograft) - Transplant from individual of same species Heterograft(Xenograft) - Transplant from another species Ref: Bailey and love 27th edition Pgno :1408